Importance of pyruvate to lactate formation in anaerobic glycolysis is production of:
1. FAD
2. NADHtoNAD
3. ATP
4. NAD to NADH

Correct answer: 2. NADHtoNAD

Explanation: B i.e. NADH to NADRef: Internet SourceExplanation:A cell can perform aerobic respiration through TCA cycle in mitochondria, in situations when there is no oxygen/mitochondria (RBC), it will perform anaerobic respiration.NAD produced in the reaction catalyzed by LDH is used to maintain glycolysis. If NAD is deficient, Glycolysis will come to halt.